A 70 years old male develops pneumonia and septicaemia. Patient goes into renal failure and has a B.P of 70/50 mm of Hg. Drug that should be used to maintain B.P is
1. Adrenaline
2. Ephedrine
3. Phenylephrine
4. Nor epinephrine

Correct answer: 4. Nor epinephrine